AV node is situated in ?
1. Opening of SVC
2. Interventricular septum
3. Koch's triangle
4. None

Correct answer: 3. Koch's triangle

Explanation: Ans. is 'c' i.e., Koch's triangle AV node is situated in triangular part (triangle of Koch) in the lower part of interatrial septum. Triangle of Koch is landmark for AV node with its transition zone. It is bounded by tendon of todaro (superiorly), tricuspid valve septal leaflet (inferiorly) and coronary sinus orifice (basally). Conducting system Location in heart SA node Upper end of crista terminalis, near opening of SVC AV node Triangle of Koch's (near interatrial septum) Bundle of his Membranous part of interventricular septum RBB Right surface of interventricular septum LBB Left surface of interventricular septum